Patients suffering from multidrug-resistant tuberculosis can be treated with all the following drugs EXCEPT :
1. Tobramycin
2. Amikacin
3. Ciprofloxacin
4. Clarithromycin

Correct answer: 1. Tobramycin

Explanation: Aminoglycosides effective in MDR tuberculosis are amikacin, kanamycin and capreomycin, Tobramycin is not effective against mycobacterium.
Ciprofloxacin and clarithromycin are also useful for tuberculosis.